Not a Radiological feature of ileal atresia
1. Obstruction on Barium meal
2. Microcolon on Barium enema
3. Double bubble sign
4. Apple - Peel appearance

Correct answer: 3. Double bubble sign

Explanation: Multiple bubble sign in seen in ileal atresia.